Corpus Delicti correlates to -
1. Police officer
2. Essence of crime
3. Conduct of postmortem
4. Death by asphyxia

Correct answer: 2. Essence of crime

Explanation: Ans. is 'b' i,e., Essence of crime * Corpus Delicti means "the body of offence" or "the body of crime".* In a charge of homicide, it includes the following:1) Positive identification of the dead body (victim) and2) Proof of its act by crimin.al act of the accused.* Corpus Delicti (= the body of offence = the essence of crime) means the facts of any criminal offence, includes body of victim and other facts that are conclusive of death by foul play, for example, murder. The corpus delicti of murder is the fact that a person died from unlawful violence by infliction of violence in a particular way, at a particular time and place, by the persons charged with the crime. The main part of corpus delicti is the establishment of identity of dead body.